How much length is increased in Z plasty when it is done at 60 degrees?
1. 25%
2. 50%
3. 75%
4. 100%

Correct answer: 3. 75%